After a leisure trip, a patient comes with gritty pain in eye, and joint pain following an episode of urinary infection. What is the most probable diagnosis?
1. Reiter's syndrome
2. Bachet's syndrome
3. Sarcoidosis
4. SLE

Correct answer: 1. Reiter's syndrome

Explanation: Reiter 's syndrome now referred to as reactive arthritis (ReA), is a classic triad of arthritis, nongonococcal urethritis and conjunctivitis. Reactive arthritis is triggered following enteric or urogenital infections. Reactive arthritis is associated with human leukocyte antigen (HLA)-B27. Bacteria associated with reactive arthritis are generally enteric or venereal. Reactive arthritis falls under the rheumatic disease category of seronegative spondyloarthropathies, which includes ankylosing spondylitis, psoriatic arthritis, the arthropathy of associated inflammatory bowel disease, juvenile-onset ankylosing spondylitis, juvenile chronic arthritis, and undifferentiated spondyloarthritis.